Thornwaldt's abscess is seen in -
1. Ludwig angina
2. Pharyngeal bursitis
3. Lateral sinus thrombosis
4. Hydrocephalus

Correct answer: 2. Pharyngeal bursitis

Explanation: Ans. is 'b' i.e., Pharyngeal bursitis Thornwald's disease (Pharyngeal bursitis)o A thomwaldt cyst is a benign midline nasopharyngeal mucosal cyst.o It is a developmental anomaly which is usually asymptomatic and is found incidentally on imaging of nasopharynxo This is a notochord remnant.o Sometimes cyst may become infected leading to an abscess and can cause halitosis or foul tasting periodic discharge into the mouth.o Asymptomatic lesions require no treatment. If treatment is required then de-roofing the cyst (marsupialization) isusually sufficient, and can be performed via a transpalatal approach,o Antibiotics are given to treat infection